Condition which can present both as nephritic syndrome and nephrotic syndrome, is:
1. Minimal change disease
2. Acute proliferative glomerulonephritis
3. Rapidly progressive glomerulonephritis
4. Membranoproliferative glomerulonephritis

Correct answer: 4. Membranoproliferative glomerulonephritis

Explanation: Ans: D i.e. Membranoproliferative glomerulonephritis Glomerular pathology and presentation Most frequent clinical presentation of minimal change disease is that of nephrotic syndrome Most frequent clinical presentation of acute proliferative glomerulonephritis/post-infectious glomerulonephritis is that of nephritic syndrome Most frequent clinical presentation of rapidly progressive/crescentic glomerulonephritis is that of nephritic syndrome Membranoproliferative glomerulonephritis/MPGN accounts for 10-20% of cases of nephritic syndrome in children and young adults. Some patients present only with hematuria or proteinuria in the non-nephrotic range, but many others have a combined nephritic-nephrotic picture.